Most common benign tumor of esophagus is?
1. Lipoma
2. Fibroma
3. Leiomyoma
4. Lymphangioma

Correct answer: 3. Leiomyoma

Explanation: Ans. is 'c' i.e. Leiomyoma "Tumors of smooth muscle origin, leiomyomas are most common; fibromas, lipomas, hemangiomas, neurofibromas and lymphangiomas also occur Robbin and Cotran pathological basis of disease, professional edition.Also remember* Leiomyoma is the most common benign tumor of Upper gi tract. The commonest site of leiomyoma in git is stomach (61.5%) followed by jejunum (19%).